Fetal erythropoietin production is inhibited by?
1. Testosterone
2. Estrogen
3. Cortisol
4. Hypoxia

Correct answer: 2. Estrogen

Explanation: Ans. is 'b' i.e., Estrogen Ref: Principles and practice of maternal healthThe plasma erythropoietin activity increases steadily during pregnancy.Estrogen antagonizes the erythropoietin-augmenting effect of placental lactogen.It inhibit utilization of erythropoietin by the marrow stem cells, and also impairs its production.